False about Immunoglobulins is
1. Y shaped heterodimer composed of four polypeptide chains
2. All four H and L chains are bound to each by disulfide bonds
3. Antibody contains two types of light chain and one type of heavy chain
4. There are 5 classes of H chains and two classes of light chains

Correct answer: 3. Antibody contains two types of light chain and one type of heavy chain

Explanation: Any antibody contains one type of light chain and one type of heavy chain.